Drug causing fixed drug eruption -
1. Sulfonamide
2. Erythromycin
3. Aminoglycoside
4. None

Correct answer: 1. Sulfonamide

Explanation: Ans. is 'a' i.e., Sulfonamide Drugs cadging fixed drug eruptiono Paracetamol (Phenacetin)o Sulfonamideso NSAIDso Aspirino Barbiturateso Dapsoneo Tetracyclineso Phenylbutazone